All of the following vitamins are anti-oxidants EXCEPT:
1. Beta- carotene
2. Ascorbic acid
3. Vitamin E
4. Vitamin K

Correct answer: 4. Vitamin K

Explanation: Ans. (d) Vitamin KRef: Harper's Biochemistry, 30th ed. pg. 554-555* Anti-oxidants are vitamin A, C and vitamin E (ACE). Most important of all is vitamin E.* Free-radicals are formed from exposure to sunlight and pollution and also as a byproduct of cell metabolism.* Alcohol, cigarette smoke, stress and even diet also affect the level of free-radical development in the body. Excellent antioxidants include Vitamin A, Vitamin E, Vitamin C, zinc, selenium, ginkgo biloba, grape seed extract, and green tea extract.